Treatment of Choice for Annular Pancreas
1. Duodeno duodenostomy
2. Gastro jejunostomy
3. Vagotomy and GJ
4. Billroth 2 reconstruction

Correct answer: 1. Duodeno duodenostomy

Explanation: Ans. (a) Duodeno duodenostomyRef: Bailey And Love 27th edition Page 1219* Annular Pancreas is the result of failure of complete rotation of ventral pancreatic bud during development, so that the ring of pancreatic tissue is surrounding the 2nd or 3rd part of pancreas.* Most common in down syndrome cases.* Presents with Vomiting in neonatal age.* Treatment is Duodeno Duodenostomy* In late cases presenting with pancreatitis - resection of head of pancreas is preferable to a lesser procedure than resection.